Which of the following reflexes are present at birth?
1. Moro's reflex
2. Palmar grasp
3. ATNR
4. All of above

Correct answer: 4. All of above

Explanation: Ans. D. All of aboveA question is often asked about the Neonatal reflexes and their timings.REFLEXAPPEARSFULLY DEVELOPEDDISAPPEARSMoro's reflex28-32 wks of gestation37 wks of gestation3-6 monthsAsymmetric tonic neck reflex35 wks. of gestation1 month5-6 monthsParachute reflex6-7 m10-11 mPersists for lifePalmar grasp28 wks. gestation32 wks. gestation3 mRooting reflex32 wks. of gestation36 wks. of gestationDecreases after 1 m